A 6-year-old drowsy child came in emergency with history of vomiting, loose motion for 3 days. On examination he had sunken eyes, hypothermia, skin on pinching was taking 5 seconds to revert. What is your diagnosis?
1. No dehydration
2. Mild dehydration
3. Some dehydration
4. Severe dehydration

Correct answer: 4. Severe dehydration

Explanation: In this case, sunken eyes and skin "goes back very slowly" (in 5 seconds) in a "lethargic" (drowsy) child, so it is a case of severe dehydration.